Primary metabolic bone disorder in scurvy is _________
1. Decreased mineralization
2. Decreased osteoid matrix formation
3. Increased bone resorption
4. Decreased bone mass with normal mineralization and osteoid formation

Correct answer: 2. Decreased osteoid matrix formation

Explanation: The endochondral bone formation may not proceed because osteoblasts cannot form osteoid. Bony trabeculae that have been formed become brittle and fracture easily. Page 251, Nelson textbook of pediatrics 18th edition